A patient presents with hyperacusis, loss of lacrimation and loss of taste sensation in the anterior 2/3rd of the tongue. 
Inflammation extends up to which level of facial nerve
1. Vertical part
2. Vertical part proximal to nerve to stapedius
3. Vertical part and beyond nerve to stapedius
4. Proximal to geniculate ganglion

Correct answer: 4. Proximal to geniculate ganglion

Explanation: • If facial nerve inflammation extends proximal to geniculate ganglion, the clinical features are: Loss of lacrimation (later may present with crocodile syndrome); hyperacusis (loss of stapedial reflex); decreased salivation and loss of taste sensation on anterior 2/3rd tongue; paralysis of muscles of facial expression.